A 30 year old lady presents with features of malabsorption and iron deficiency anaemia. Duodenal biopsy shows complete villous atrophy. Which of the following antibodies is likely to be present :
1. Antiendomysial antibodies
2. Anti-goblet cell antibodies
3. Anti-saccharomyces cerevisae antibodies
4. Antineutrophil cytoplasmic antibodies

Correct answer: 1. Antiendomysial antibodies

Explanation: Answer is A (Antiendomysial antibodies): Evidence of Malabsorption together with charachteristic histopathological changes on small intestinal biopsy in the form of complete villous atrophy suggests the diagnosis of celiac spree / disease. Antibody studies are frequently used to identify patients with celiac disease. 'The antiendomysial antibody has 90 to 95% sensitivity and 90 to 95% specificity' in the detection of celiac disease.